NOT a constituent of embalming fluid:
1. Formalin
2. Methanol
3. Ethanol
4. Glycerin

Correct answer: 3. Ethanol

Explanation: Ans. Ethanol